Occupational cancer involve following organs except?
1. Lung
2. Breast
3. Bladder
4. Skin

Correct answer: 2. Breast